Azygos vein -
1. Formed by arch of aorta
2. Opens into inferior vena cava
3. Arches the groove of the left lung
4. Ascends through the aortic opening in the diaphragm

Correct answer: 4. Ascends through the aortic opening in the diaphragm

Explanation: Azygos vein is formed by

Subcostal veins
Ascending lumbar veins
Lumbar Azygos veins

It crosses the diaphragm on the right side, by piercing the right crus or the aortic opening.
At the level of T4 vertebra, it arches over the hilum of right lung.
It opens into the superior vena cava.